Which of the following drug belongs to antifolate group:
1. Erythromycin
2. Doxycycline
3. Pyrimethamine
4. Gentamicin

Correct answer: 3. Pyrimethamine

Explanation: Ans. C: Pyrimethamine